All are true for components fo DOTS, except -
1. High compliance
2. Given under observation
3. Political commitment
4. Accountability

Correct answer: 1. High compliance

Explanation: parks textbook of preventive and socisl medicine 23rd edition *DOTS strategy adopted by revised national TB control programme initially had the following five components . (1)political will and administrative commintment (2)diagnosis by quality assured sputum smear microscopy (3)adequate supply of quality assured short course chemotherapy drugs (4)directly observed treatment (5)systemic monitoring and accountability .